All of the following are causes of Urothelial Carcinomas Except -
1. Smoking
2. Industrial solvents
3. Exposure to thorotrast
4. Alcohol consumption

Correct answer: 4. Alcohol consumption

Explanation: Ans. is 'd' i.e., Alcohol consumption Etiology of transitional cell Cao Smokingo Industrial dyes or solventso Excessive analgesic intakeo Balkan nephropathy, ando Those exposed to Thorotrast, (a contrast agent previously used for retrograde pyelography)